Gunn sign is?
1. Silver wiring of arterioles
2. Deflection of veins at arteriovenous crossing
3. Copper wiring of arterioles
4. Tapering of veins on the either side of the crossings

Correct answer: 4. Tapering of veins on the either side of the crossings

Explanation: Tapering of veins on either side of the crossings Gunn sign is seen in grade III hypertensive retinopathy. Grade 1 Generalized arteriolar attenuation Broadening of arteriolar light reflex Concealment of vein at A-V Crossings Grade 2 Severe generalized and focal arteriolar constriction A-V crossing change (Salus sign) Grade 3 Copper wiring of arterioles Venous banking distal to a-v crossing (bonnet's sign) Venous tapering on either side of the crossing (Gunn's sign) Right angle deflection of veins Flame shaped haemorrhages, cotton wool spots, hard exudates Grade 4 All changes of grade 3 Silver wiring of arterioles Disc oedema